Single umbilical artery is a/w an increased involvement of -
1. Genitourinary system
2. CNS
3. Pulmonary system
4. Endocrine system

Correct answer: 1. Genitourinary system

Explanation: Single umbilical artery is a/w an increased risk for an occult renal anomaly. Cardiovascular system involvement is the next. Also know - Single umbilical artery is the most common umbilical anomaly.